A 6 year old boy has a history of recurrent dislocation of the right shoulder. On examination, the orthopedician puts the patient in the supine position and abducts his arm to 90 degrees with the bed as the fulcrum and then externally rotates it but the boy does not allow the test to be performed. The test done by the orthopedician is -
1. Apprehension test
2. Sulcus test
3. Dugas test
4. MC Murray's test

Correct answer: 1. Apprehension test

Explanation: Apprehension (boy does not allow the test to be performed) on abduction and external rotation of arm is seen in apprehension test for anterior shoulder instability.